True about varicella vaccine is ?
1. Poorly immunogenic
2. Duration 4-6 months
3. Avoid salicylates for 4-6 weeks
4. Given to child< 12 months when they do not have chicken pox

Correct answer: 3. Avoid salicylates for 4-6 weeks

Explanation: Ans. is 'c' i.e., Avoid salicylates for 4-6 weeks A live attenuated varicella virus vaccine is safe and currently recommended between 12-18 months of age who have not had chicken pox.The vaccine is very immunogenic, sero-conversion occurs in 95% of children after a single dose.A duration of immunity is not known, but is probably 10 years.